Avascular necrosis is commoner in:
1. Cuboid
2. Calcaneum
3. Navicular
4. Talus

Correct answer: 4. Talus

Explanation: Ans: D i.e. Talus Because of the poor blood supply, after a fracture through the neck, the body of talus becomes avascular